Which of the following is a cause of wide pulse pressure:
1. Aortic stenosis
2. Aortic regurgitation
3. Mitral stenosis
4. Tricuspid stenosis

Correct answer: 2. Aortic regurgitation

Explanation: Ans. (b) Aortic regurgitationRef: Harrison 19th ed. /1534Pulse pressure is SBP - DBP. In aortic stenosis or mitral stenosis SBP is low leading to reduction of pulse pressure. In tricuspid stenosis since the blood flow into right side of heart is reduced, so is left side inflow and therefore reduction in SBP.Other Changes in Pulse Pressure Include* Increased pulse pressure: Aortic regurgitation, Aortic sclerosis* Decreased pulse pressure: Aortic stenosis, Mitral stenosis* Increased diastolic pressure: Mitral stenosis* Decreased diastolic pressure: Aortic regurgitation, Patent ductusarteriosusCauses of Wide Pulse Pressure* Atherosclerosis* Arteriovenous fistula* Chronic aortic regurgitation* Thyrotoxicosis* Fever* Anemia* Pregnancy* Anxiety* Heart block* Aortic dissection* Endocarditis* Raised intracranial pressure